Which of the following antihypertensives causes sedation:
1. Clonidine
2. Hydralazine
3. Losartan
4. Amlodipine

Correct answer: 1. Clonidine